Bracket clacification in skull X-ray is seen in:
1. Meningioma
2. Lipoma of carpus callosum
3. Tuberous sclerosis
4. Sturge weber syndrome

Correct answer: 2. Lipoma of carpus callosum

Explanation: B i.e. Cytomegalovirus In CMV there is - ,nicrocephalyQ, B/L-Symmetrical stippled & periventricular calcificationQ In Toxoplasma - calcification consists of multiple scattered flecks in cortex & linear streaks in the basal ganglia. Mnemonic- CMV calcifications are Circum Ventricular and Toxoplasma calcifications are intraparenchymal. - In congenital syphilis - hot cross bun skullQ. - Lipomas of corpus callosum may show highly characteristic margical calcification (i.e. bracket sign)Q. Pituatory macroadenoma is also a suprasellar mass which typically has cottage loaf or figure of eight appearance. Craniopharyngeomas are derived from Rathke's pouchQ, near pituitary stalk. These are large, cysticQ, locally invasive tumors, many are calcifiedQ. It is most common suprasellar tumor in childrenQ. Presentation is: